All are elements of primary health care except-
1. Intersectoral coordination
2. Community participation
3. Appropriate technology
4. Decentralised approach

Correct answer: 4. Decentralised approach

Explanation: Ans. is 'd' i.e., Decentralised approach Principles of primary health care1. Equitable distribution# It means, health services must be shared equally by all people irrespective of their ability to pay and all people (urban or rural, rich or poor) have access to health services.2. Community participation# The local community is involved in planning and implementation of health services.# Primary health care is thus described as - Health by the people, placing people's health in people hands.# Village health guides and trained dais are perfect examples of community participation. They belong to the community they serve3. Intersectoral coordination# The primary health care is not provided by health sector alone.# It involves all other related sectors of national and community development, in particular agriculture, animal husbandry, food, industry, education, housing, public works, communication and other sectors.4. Appropriate technology# Appropriate technology is defined as 'technology that is scientifically sound, adaptable to local needs, and acceptable to those who apply it and those for whom it is used, and that can be maintained by the people themselves in keeping with the principles of self reliance with the resources the community and country can afford.'